Causes of water-hammer pulse  are
1. Truncus arteriosus
2. Patent ductus arteriosus
3. Both
4. None

Correct answer: 3. Both

Explanation: Water hammer pulse (collapsing pulse) is seen in:

Hyperkinetic circulatory states
Aortic regurgitation
Patent ductus arteriosus 
Truncus arteriosus with truncal sufficiency